When do you operate for prolapsed disc -
1. Busy executive needs quick surgery
2. Only with weakness no pain
3. Severe pain interfering with activity and not relieved by rest and treatment of 8 weeks
4. Patient of P1D with difficulty in ambulation

Correct answer: 3. Severe pain interfering with activity and not relieved by rest and treatment of 8 weeks

Explanation: Ans. is 'c' i.e., Severe pain interfering with activity and not relieved by rest and treatment of 8 weekso Indications for surgery in cases of Prolapsed intervertebral disc areFailure of conservative treatment (even after 8 weeks of treatment).Progressive neurological deficit.Cauda - equina syndrome.Severe sciatic tilt.